Prokaryotes are characterized by -
1. Absence of nuclear membrane
2. Presence of microvilli on its surface
3. Presence of smooth endoplasmic reticulum
4. All of the above

Correct answer: 1. Absence of nuclear membrane

Explanation: Different between Prokaryotes and Eukaryotes PROKARYOTES EUKARYOTES Nuclear membrane absent Nuclear membrane well defined Cytoplasmic structures absent e.g. Mitochondria, Lysosomes, Golgi apparatus, and endoplasmic reticulum are absent. All these cell organelles are present In cell wall muramic acid & diaminopimelic acids (DAPA) present Both absent in cell wall No sterols in cell membrane Sterols present in cell membrane Eg-bacteria, blue-green algae Fungi, protozoa, slime moulds Site of respiration - Mesosomes Mitochondria Ribosomes--protein production site - 70S (50S + 30S), free in cytoplasm or bound to cell membrane Ribosomes--protein production site - 80S (60S + 40S), attached to rough endoplasmic reticulum